Rideal-Walker Coefficient is employed for the assessment of
1. Germicidal Power of a disinfectant
2. Sufficiency of Pasteurisation
3. Effect of Incineration
4. Effect of autoclaving

Correct answer: 1. Germicidal Power of a disinfectant

Explanation: RWC
Also known as ‘Carbolic acid coefficient’.
Is used to ‘represent germicidal power of a disinfectant’.
Standard used for comparison: Phenol (RWC = 1.)
RWC = 10 implies: Given disinfectant is 10 times more potent than phenol.
Organism used for testing: Salmonella typhi
210 In presence of organic matter, RWC is ineffective: Chic Martin test is employed